Naf inhibits
1. Enolase
2. Glucokinase
3. Hexokinase
4. G-6 PD

Correct answer: 1. Enolase

Explanation: Enolase requires Mg2++, and by removing magnesium ions, fluoride will irreversibly inhibit this enzyme. Thus fluoride will stop the whole glycolysis.Ref: DM Vasudevan, 7th edition, page no: 111